Transudative effusion occur in -a) Chylothoraxb) Myxedemac) Dialysis related effusiond) Nephrotic syndrome
1. abc
2. bcd
3. ac
4. bd

Correct answer: 2. bcd